In anesthesia, fitting of wrong gas cylinder to the anesthesia machine can he prevented by:
1. Pin index system
2. Yolk assembly
3. Bodock seal
4. Gas analyser

Correct answer: 1. Pin index system

Explanation: Ref: Miller Textbook of Anaesthesia. 7th ed.Explanation:The Pin Index Safety System, or PISSIt is a safety system that uses geometric features on the yoke to ensure that pneumatic connections between a gas cylinder and a machine that uses pressurized gases are not connected to the wrong gas yoke.This system can be seen on an anesthesia machine.Each gas cylinder has a pin configuration to fit its respective gas yoke.O2: 2-5N2O: 3-5Air: 1-5CO2: 1-6Heliox: 2-4Entonox= 7